Most common nerve injured in posterior dislocation of hip
1. Sciatic
2. Femoral
3. Superior glutcal nerve
4. Inferior glutcal nerve

Correct answer: 1. Sciatic